Snowman's heart sign on chest X-ray is seen in -
1. Ebstein anomaly
2. Total anomalous pulmonary venous connection (TAPVC)
3. Tetrology of Fallot
4. Transposition of great vessels

Correct answer: 2. Total anomalous pulmonary venous connection (TAPVC)

Explanation: Ans. is 'b' i.e., Total anomalous pulmonary venous connection (TAPVC) o "Snowman" or "figure of 8" or "cottage loaf sign" is characteristic of supracardiac TAP VC.Cardiac configrationo "Boot-shaped" heart (cour en sabot)Fallot's tetralogyo "Egg on side" heart ("egg in cup" heart)Transposition of great arterieso "Egg in cup" HeartConstrictive pericarditiso "Snowman" sign ("figure of 8, or cottage loaf' sign)Supracardiac TAPVCo "Ground - glass" appearance of lungObstructive TAPVCo "Sitting-duck" heartPersistent truncus arteriosuso "Water-bottle" or flasked shaped or money bag heartPericardial effusion, hypothyroidismo "Box-shaped" heartTricuspid atresia, Ebstein's anomalyo Tubular heartAddison's disease, emphysemao "Tear -drop" heartChronic emphysemao "Cor-triatum"Pulmonary vein obstructiono "Jug handle" appearancePrimary pulmonary hypertensiono "Pentagon-shaped" heartMitral incompetenceo "Triangular-shaped" heartConstrictive pericarditis